Therapeutic index is a measure of a drug's:
1. Safety
2. Potency
3. Efficacy
4. Toxicity

Correct answer: 1. Safety

Explanation: Therapeutic index is a way to measure the drug's safety. It is a comparison of the amount of a therapeutic agent that causes the therapeutic effect to the amount that causes death. Quantitatively, it is described as the ratio given by the lethal or toxic dose divided by the therapeutic dose. Ref: KDT, 6th Edition, Pages 54, 55; Lippincott's Illustrated Reviews: Pharmacology, 3rd Edition, Page 33; Essentials of Medical Pharmacology By K D Tripathi, 5th Edition, Page 48